All of the following molecules are a part of the synthesis of a purine ring except?
1. Lysine
2. Glycine
3. Glutamine
4. Aspartate

Correct answer: 1. Lysine

Explanation: Reference: Harpers illustrated biochemistry 30th edition